Which of the following is associated with hemorrhagic stroke ?
1. Phenylpropanolamine
2. Terfenadine
3. Quinidine
4. Fenfluramine

Correct answer: 1. Phenylpropanolamine

Explanation: Ans. is 'a' i.e., Phenylpropanolamine Many reports associating phenylpropanolamine use for weight loss with haemorrhagic stroke among women, appeared in U.S.A.